Blastomycosis may involve any of the following organs except
1. Skin
2. Lungs
3. Lymphatics
4. Intestinal tract

Correct answer: 4. Intestinal tract

Explanation: Blastomycosis does not involve intestinal tract